Zenker's degeneration of the abdominal musculature is seen in:
1. Cholera
2. Myotonia congenita
3. Amyloidosis
4. Typhoid

Correct answer: 4. Typhoid

Explanation: Ans. d (Typhoid). (Ref. Textbook of pathology by Harsh Mohan 5th ed. Chapter 3)If the muscle sheath is intact, sarcolemmal tubes containing histiocytes appear along the endomysial tube which, in about 3 months, restores properly oriented muscle fibres e.g. in Zenker's degeneration of the abdominal musculature in typhoid.